Gold standard diagnostic method for guiding antibiotic therapy in a case of osteomyelitis is ____:
1. Blood culture
2. Bone biopsy
3. Wound swab
4. Sinus tract culture

Correct answer: 2. Bone biopsy

Explanation: Ans. B. Bone biopsyBone biopsy is the gold standard method for guiding antibiotic therapy in case of osteomyelitis.Wound swab is not a definitive method to confirm the origin of bacterial infection because the organism need not necessarily contaminate the wound. Similarly, a negative sinus tract culture also does not rule out the possibility of an infection on the inside as it is not essential for the organism to travel up to the surface.A blood culture may be used to guide antibiotic therapy for hematologically acquired osteomyelitis but the gold standard investigation always remains a bone biopsy.